Large kidney is seen in all of the following, except
1. Amyloidosis
2. Diabetes mellitus
3. Lymphoma
4. Benign nephrosclerosis

Correct answer: 4. Benign nephrosclerosis

Explanation: Benign nephrosclerosis presents with bilateral symmetrical contraction of kidney.